A CKD patient with hypertension, What is the initial treatment of choice ?
1. ACE inhibitors
2. CCB
3. Diuretics
4. Betablockers

Correct answer: 1. ACE inhibitors

Explanation: ACE inhibitors are recommended as first line antihypertensives in CKD patients. ACEIs or ARBs, appropriate diuretic therapy, and dietary salt restriction make up the foundation for the treatment of HTN in CKD.